Homeostasis is Body's mechanisms
1. Meant to stop bleeding
2. For maintemance of nearly constant conditions in the internal environment
3. For maintenace of body posture
4. For maintenance of body blood pressure

Correct answer: 2. For maintemance of nearly constant conditions in the internal environment

Explanation: Homeostasis : refers to maintainence of constant internal environment Hemostasis: refers to stopage of bleeding Ref:Guyton and Hall textbook of medical physiology 12th edition,page number:146,147